Esophagus Pierces the diaphragm at the level of
1. T 6 vertebrae
2. T 8vertebrae
3. T 10 vertebrae
4. None of the above

Correct answer: 3. T 10 vertebrae

Explanation: Esophagus It is a fibromuscular tube, about 25 cm long in an adult. It extends from the lower end of pharynx (C6) to the cardiac end of stomach (T11). It shows three normal constrictions and it is important to know their location at oesophagoscopy. They are: 1. At pharyngo-oesophageal junction (C6)--15 cm from the upper incisors. 2. At crossing of arch of aorta and left main bronchus (T4)--25 cm from upper incisors. 3. Where it pierces the diaphragm (T10)--40 cm from upper incisors. Ref:- Dhingra; pg num:-340